Which of the following is NOT to be given in cyclic mastalgia is :
1. Evening primrosa oil
2. Danazol
3. Tamoxifen
4. Estrogen

Correct answer: 4. Estrogen

Explanation: Ans. is d i.e. Estrogen